For cutting dentin by Gates Glidden drills, it should be used at:
1. 200-300 rpm
2. 450-800 rpm
3. 750-1000 rpm
4. None of the above

Correct answer: 3. 750-1000 rpm

Explanation: It is ideally used to cut dentin as it is withdrawn from the canal. 
It cuts on the outstroke, and it is used to open canal oriﬁce. 
It is used in 750-1000 rpm.
Long shaft is designed so as to break at the neck, the narrowest diameter that lies adjacent to the handpiece. 
If the drill binds during use, it will fracture at the neck of the shaft.